A 66-year-old man with a 40-pack-per-year history of smoking is investigated for hemoptysis. CXR reveals a central 3-cm mass near the left bronchus. His serum biochemistry is abnormal for elevated calcium, but there is no boney metastasis on the bone scan. Biopsy of the mass is positive for a type of lung cancer associated with paraneoplastic hypercalcemia.For the above patient with lung cancer, select the most likely cell type based on clinical description.
1. squamous cell carcinoma
2. adenocarcinoma
3. large cell carcinoma
4. small cell carcinoma

Correct answer: 1. squamous cell carcinoma

Explanation: Tag: Clinical; Extended MatchingTargetExam: NExTRef: Hypercalcemia may be due to metastatic destruction of bone, ectopic formation of parathyroid hormone, or formation of other osteolytic substances.